During mandibular border molding, we ask the patient to touch handle of tray with the tongue to record:
1. Medial pterygoid
2. Palatoglossus
3. Mylohyoid
4. Superior constrictor of pharynx

Correct answer: 2. Palatoglossus

Explanation: For recording the distolingual border, hold the tray in place with the ﬁngers in each premolar region, while at the same time, asking the patient to place the tip of the tongue against the tray handle.
The action pulls forward the palatoglossal arches and conforms the impression material to its correct shape.